All of the following are associated with coombs positive hemolytic anemia except -
1. Thrombotic thrombocytopenia purpura (TTP)
2. Scleroderma
3. SLE
4. PAN

Correct answer: 1. Thrombotic thrombocytopenia purpura (TTP)

Explanation: Coombs is positive only in immune hemolytic anemias where there is hemolysis of RBCs by antibodies produced in the body which is the case in SLE ,PAN & Scleroderma. While in TTP hemolysis occurs due to trauma to RBCs due to Microangiopathic hemolysis, seen in TTP &HUS Ref Robbins 9/e pg 448-449